Which of the following is the gold standard to measure angles of eye:
1. Perimetry
2. Van herick's grading
3. Cover uncover test
4. Gonioscopy

Correct answer: 4. Gonioscopy

Explanation: Gonioscopy is gold standard to measure angles of eye. Gonioscopy Used to assess Angle structures , localize foreign bodies, abnormal blood vessels/ tumors in angles. Critical angle for cornea-air interface: 46 o. Direct Gonioscope: Koeppe. Indirect Gonioscope: Zeiss, Goldman, Sussman, Possner. 4 mirror gonioscope NOTE- Perimetry is the systematic measurement of visual field function Van Herick techniqueis an eye examination method used to determine the size of theanterior chamberangle of the eye. Cover-uncover test can be used to detect heterotropia.